Mannitol is used in the management of:-
1. Congestive cardiac failure
2. Acute congestive glaucoma
3. Acute renal failure
4. Pulmonary edema

Correct answer: 2. Acute congestive glaucoma

Explanation: Option A: Treated by Lasix (Furosemide), morphine, O2, Positioning (LMNOP) Option C: Managed by Hemodialysis